Aldosterone secretion is maximally stimulated by?
1. Hyperkalemia
2. ACTH
3. Hypernatremia
4. Exogenous steroids

Correct answer: 1. Hyperkalemia

Explanation: Ans. is 'a' i.e., HyperkalemiaMineralocoicoid secretion is stimulated by hyperkalemia, angiotensin-H, ACTH and hyponatremia, in reducing order of efficacy.1) Aldosterone secretion in response to hyperkalemia is the most important and forms the basis for renal regulation of body potassium balance.2) Stimulation of aldosterone by angiotensin II (through renin-angioensin system) is important for the correction of hypovolemia and hypotension in conditions like salt depletion or renal ischemia.3) Stimulation of aldosterone secretion by ACTH results in diurnal variation of aldosterone secretion. However, ACTH is not an important physiological regulator for aldosterone secretion.4) Hyponatremia is a weak stimulator of aldosterone secretion.